Which of the following condition is associated with hepatomegaly with liver pulsation?
1. Mitral Stenosis
2. Mitral Regurgitation
3. Tricuspid Regurgitation
4. Pulmonary Hypertension

Correct answer: 3. Tricuspid Regurgitation

Explanation: Characteristic features of Tricuspid regurgitation are marked hepatomegaly and systolic pulsations of the liver. Hepatic pulsation in tricuspid regurgitation is caused by reversed systolic blood flow in the great veins. Ref: Current Medical Diagnosis and Treatment, 2012, Chapter 10; The Cleveland Clinic Cardiology Board Review By Brian P. Griffin, Page 290